All the following metabolic may cause recurrent abdominal pain, except
1. Acute intermittent prophyria
2. Addison's disease
3. Hypercalcemia
4. Hyperkalemia

Correct answer: 4. Hyperkalemia

Explanation: Acute intermittent porphyria, which causes abdominal pain and neurologic symptoms, is the most common acute porphyria. ... Symptoms may include vomiting, abdominal or back pain, weakness in arms or legs, and mental symptoms. Laboratory tests are done on urine samples taken during the attack. Addison's disease, the deficiency of aldosterone leads to hyponatremia, dehydration, and hyperkalemia. ... Addison's disease presents with gastrointestinal complaints in form of diarrhea in 20% of cases. Adrenal insufficiency usually presents as acute abdominal pain especially during adrenal crisis Hypercalcemia can cause stomach upset, nausea, vomiting and constipation. Bones and muscles. In most cases, the excess calcium in your blood was leached from your bones, which weakens them. This can cause bone pain, muscle weakness and depression Ref Davidson 23rd edition pg 719